Anti leprosy drug causing ichthyoses is -
1. Dapsone
2. Clofazimine
3. Rifampicin
4. Clarithromycin

Correct answer: 2. Clofazimine

Explanation: Ans. is 'b' i.e., Clofazimine Acquired ichthyosis (Ichthyosis acouista)o Acquired ichthyosis is seen in : -Deficiency:- Protein, Vitamin A, Kwashiorkor, Marasmus.Infection:- Leprosy, AIDSSenile ichthyosis: -ElderlySystemic diseases: -SLE, DM, hypothyroidism, Sarcoidosis, liver & kidney diseases.Malignancy, especially: -Hodgkin's lymphoma.Drugs Clofazimine, :-Statins, triparanol.